Which of the following is the contribution of GERMANY to public health -
1. Socialization
2. Pasteurization
3. Development of baths, sewers, aqueducts for sanitation
4. Instituting compulsory sickness insurance

Correct answer: 4. Instituting compulsory sickness insurance

Explanation: Ans. is 'd' i.e., Instituting compulsory sickness insurance